Mini tracheostomy is performed through
1. Cricothyroid membrane
2. 2nd and 3rd tracheal rings
3. Any of the above
4. None of the above

Correct answer: 1. Cricothyroid membrane

Explanation: Cricothyrotomy or laryngotomy or mini tracheostomy: This is a procedure for opening the airway through the cricothyroid membrane. Patient's head and neck is extended, lower border of thyroid cartilage and cricoid ring are identified. Skin in this area is incised vertically and then cricothyroid membrane cut with a transverse incision. This space can be kept open with a small tracheostomy tube or by inserting the handle of knife and turning it at right angles if tube is not available. It is essential to perform an orderly tracheostomy as soon as possible because perichondritis, subglottic oedema and laryngeal stenosis can follow prolonged laryngotomy. tube inserted. Bleeding can be controlled by packing with gauze. Emergency tracheostomy on a struggling patient with inadequate lighting, suction and instruments is fraught with many complications. If possible, an endotracheal tube should be put for a more orderly procedure to be carried out. PERCUTANEOUS DILATATIONAL TRACHEOSTOMY "Mini tracheostomy is an emergency procedure to buy time to allow patient to be carried to operation theatre. Commercial emergency kits are also available for this. As an elective procedure it has been done to clear the bronchial secretions following thoracic surgery." Cricothyroid needle puncture is a procedure where a large-bore intravenous catheter is introduced through the cricothyroid membrane. It is only an emergency procedure till patient can be intubated or tracheostomized. The procedure does not provide adequate ventilation. Ref- Dhingra , 6th edition, page 320.